TRUE statement about aspirin is:
1. In an afebrile patient acute overdose of aspirin produces hypothermia
2. Aspirin suppresses flushing associated with large dose of nicotinic acid
3. Aspirin therapy prevents granulomatous lesions and cardiac complications of acute rheumatic fever
4. Long term aspirin therapy increases the risk of developing colon cancer

Correct answer: 2. Aspirin suppresses flushing associated with large dose of nicotinic acid

Explanation: Nicotinic acid can cause flushing due to release of PGs. Premedication with aspirin decreases this complication. Aspirin can cause hyperthermia in overdose. It decreases the risk of developing colon cancer.